True about Fibrolamellar carcinoma of Liver is all,except-
1. Females do not have increased incidence than males
2. Has good prognosis
3. Not associated with liver cirrhosis
4. Serum AFP levels are usually >1000 mg/ltr

Correct answer: 4. Serum AFP levels are usually >1000 mg/ltr

Explanation: Fibrolamellar carcinoma -

It is a distinctive variant of hepatocellular carcinoma
It is seen in young adults (20-40 yrs of age)
It has equal sex incidence
It has a better prognosis
It has no association with HBV or cirrhosis
It is grossly encapsulated mass.
AFP elevation is not seen in Fibrolamellar Ca